Drug(s) used in treatment of Attention-Deficit Hyperactivity Disorder :
1. Atomoxetine
2. Methylphenidate
3. Dexmethylphenidate
4. All

Correct answer: 4. All

Explanation: A. i.e. Atomoxetine; B. i.e. Methylphenidate; C. i.e. Dex methyl phenidate